Most common electrolyte imbalance that causes paralytic ileus is
1. Hyponatremia
2. Hypernatremia
3. Hypokalemia
4. Hyperkalemia

Correct answer: 3. Hypokalemia

Explanation: In paralytic ileus uraemia and hypokalemia are the most common contributory factors. Paralytic ileus is defined as a state in which there is failure of transmission of peristaltic waves secondary to neuromuscular failure. Reference : Bailey & Love, 27th Edition, page no = 1297.